Which amongst the following biological agents has the least potential for use as a biological weapon for microbial bio-terrorism?
1. Plague (Yersinia Pestis)
2. Small Pox (Variola Major)
3. Botulism (CI. Botulinum)
4. Brucellosis (Brucella spp)

Correct answer: 4. Brucellosis (Brucella spp)

Explanation: Brucella spp, comes under the Category B agents used in bioterrorism which has moderate morbidity rates and low mortality rates as compared to the other agents shown above which are Category A agents and responsible for high mortality rates. Ref: Harrison's Principles of Internal Medicine, 16th edition, Page 1279.